A child presents in casuality in stable condition after a blunt abdominal trauma associated with splenic trauma. T/t of choice is -
1. Observation
2. Splenectomy
3. Arterial embolisation
4. Splenorrhaphy

Correct answer: 1. Observation